Nottingham Histologic score doesn't include?
1. Tubule formation
2. Nuclear pleomorphism
3. Mitotic rate
4. Presence or absence of mets.

Correct answer: 4. Presence or absence of mets.

Explanation: Nottingham Histologic score is used for grading invasive carcinoma of breast. 
Option a, b and c are used to calculate the score.